All are supplied by Oculomotor nerve except:
1. Superior oblique
2. Superior rectus
3. Inferior oblique
4. Levator palpebra superioris

Correct answer: 1. Superior oblique

Explanation: (A) Superior oblique # All extra ocular muscles is supplied by 3r C.N. except Sup. Oblique which is supplied by - trochlear nerve and lateral rectus by Abducen nerve.> All muscle of face are supplied by facial nerve except levator Palpabre - 3rd C.N.